Brunner's glands are present in
1. Esophagus
2. Stomach
3. Duodenum
4. Ileum

Correct answer: 3. Duodenum

Explanation: Submucosal glands of duodenum are Brunner's glands, they are mucus, bicarbonate-secreting glands. This helps in protecting duodenal epithelium from acidic secretions of the stomach.